Fine touch is lost in lesion of
1. Anterior spinothalamic tract
2. Lateral spinothalamic tract
3. Dorsal column pathway
4. Pyramidal tract

Correct answer: 3. Dorsal column pathway

Explanation: Dorsal column pathway is the principal direct pathway to the cerebral cortex for fine touch, vibration sense, & proprioception.Ref: Ganong's Review of medical physiology;23 rd edition; pg: 173